Which of the following is true about Horseshoe kidney?
1. Fused at upper pole lies in pelvis
2. Fused at lower pole, lies in pelvis
3. Fused at upper pole, lies in front of L1
4. Fused at lower pole, lies in front of L4

Correct answer: 4. Fused at lower pole, lies in front of L4

Explanation: The lower poles of the two kidneys (or sometimes the upper poles) may be fused. The connecting isthmus may lie either in front of, or behind, the aorta and inferior venacava. The ureters pass anterior to the isthmus. The inferior mesenteric artery also passes anterior to the isthmus which limits the ascent of the horseshoe kidney. (Reference : I B Singh's Embryology , 10th edition, pg 288)